Which of the following types of cancers is Human Papilloma Virus (HPV) most commonly associated with?
1. Prostate
2. Anogenital
3. Oral
4. Lung

Correct answer: 2. Anogenital

Explanation: HPV is most commonly associated with anogenital carcinomas, which includes cervical carcinomas. Certain human malignancies are associated with viruses. Burkitt's lymphoma (Epstein-Barr virus) Hepatocellular carcinoma (hepatitis viruses) Cervical cancer T cell leukemia (retroviruses) Mechanism of Cancer in HPV: HPV proteins E6 and E7 bind and inactivate cellular tumor suppressors p53 and pRB, respectively. Viruses are not sufficient for cancer development, but constitute one alteration in the multistep process of cancer progression. Ref: Morin P.J., Trent J.M., Collins F.S., Vogelstein B. (2012). Chapter 83. Cancer Genetics. In D.L. Longo, A.S. Fauci, D.L. Kasper, S.L. Hauser, J.L. Jameson, J. Loscalzo (Eds), Harrison's Principles of Internal Medicine, 18e.